Which of the following is not scanned by FAST USG?
1. Pericardium
2. Pleural cavity
3. Spleen
4. Liver

Correct answer: 2. Pleural cavity

Explanation: FAST- Focussed assessment with sonography for trauma It is performed in 2-4 minutes 4 views (4 P) - 1. Pericardium 2. Perihepatic region 3. Peri splenic region 4. Pelvis e- FAST- Extended FAST 6 views 1. Pericardium 2. Perihepatic region 3. Peri splenic region 4. Pelvis 5. Right thoracic view 6. Left thoracic view